Risk factor for preeclampsia includes all except :
1. Antiphospholipid syndrome
2. Obesity
3. Previous h/o preeclampsia
4. Multigravida

Correct answer: 4. Multigravida

Explanation: Risk factors for pre-eclampsia : Primigravida (young and elderly) Family history Placental abnormalities Obesity Thrombophilias Ref: Dutta Obs 9e pg 208.